Most common vascular tumor in AIDS patient is
1. Kaposi's sarcoma
2. Angiosarcoma
3. Lymphangioma
4. Lymphoma

Correct answer: 1. Kaposi's sarcoma

Explanation: Ref Robbins 8/e 523_524 KS is caused by a virus called human herpes virus 8 (HHV-8), also known as Kaposi's sarcoma-associated herpes virus (KSHV). KS develops when infected cells that line lymph or blood vessels begin to divide without stopping and spread into surrounding tissues. Whereas most cancers begin in one part of the body and may later spread to other areas, KS usually appears as lesions (abnormal bumps, spots or patches) on the skin or on mucosal surfaces (such as inside the mouth or in the genitals). Lesions can also develop in other parts of the body, such as in the lungs, lymph nodes or gastrointestinal tract. Having visible KS lesions can be upsetting. Nonetheless, they may develop very slowly without causing any serious complications. If KS is confined to the skin or lymph nodes without causing any swelling, it usually responds very well to treatment with anti-HIV drugs. Infection with HHV-8, the virus which causes KS, is widespread among gay men and in African countries. The virus can be found in saliva and may be passed on during sex, including through wet kissing, oral sex, and using saliva as a lubricant during sex. It can also be spread when adults pre-chew food for infants. There isn't a vaccine to prevent HHV-8 infection. A normally functioning immune system can usually keep HHV-8 infections under control and suppress the abnormal growth of cells into KS lesions. Most people who have HHV-8 never get KS. However, when the immune system is weakened and an unhelpful activation of the immune system in response to HHV-8 occurs, KS may develop. Generally, KS is a rare cancer in people who don't have HIV. Nonetheless, cases do occur in HIV-negative people, particularly in people who take medications that suppress the immune system (such as corticosteroids). It is also one of the most common cancers in African countries, with large numbers of cases in people who don't have HIV.